Which renal pathology has highest risk of recurrence following renal transplantation
1. Goodpasture's syndrome
2. MPGN
3. Alport's syndrome
4. Amyloidosis

Correct answer: 2. MPGN

Explanation: MPGN Type II has 90 % risk for recurrence and MPGN Type I has 35 % risk for recurrence following renal transplant.